All of the following statements about spasmodic dysphonia are true, except
1. It is a dystonia of Laryngeal Muscles
2. Standard treatment is with injection of Botulinum Toxin
3. Multiple injections of Botulinum toxin are required
4. Patient with Abductor type dysphonia have a strained and strangled voice

Correct answer: 4. Patient with Abductor type dysphonia have a strained and strangled voice

Explanation: Like adductor spasm dysphonia, the cause of abductor spasmodic dysphonia is not known. It is a dystonia of Laryngeal Muscles. Treatment is an injection of botulinum toxin in posterior cricoarytenoid muscles. It can be done by percutaneous or endoscopic route. Speech therapy should be combined with injection treatment as speech therapy alone may not be effective. Patient with abductor dysphonia gets a breathy voice or breathy breaks in voice. Ref: PL Dhingra; Textbook of EAR, NOSE and THROAT; edition 7; Page - 356